Structure passing deep to flexor retinaculum is:
1. Post tibial artery
2. Long saphenous vein
3. Tibialis ant. tendon
4. Peroneus tertius

Correct answer: 1. Post tibial artery

Explanation: A. i.e. Posterior tibial artery